A female with IUCD develops pelvic inflammatory disease. which of the following should be done:
1. Keep the IUCD, give antibiotic, follow up for antibiotic response & then take decision regarding IUCD removal
2. Start antibiotic & remove IUCD
3. Remove IUCD & start antibiotic
4. Wait for next menstrual cycle for any intervention

Correct answer: 1. Keep the IUCD, give antibiotic, follow up for antibiotic response & then take decision regarding IUCD removal

Explanation: Ans. is 'a' i.e., Keep the IUCD, give antibiotic, follow up for antibiotic response & then take decision regarding IUCDremoval If an IUD user receives a diagnosis of PID, the IUD does not need to be removed. However, the woman should receive treatment according to these recommendations and should have close clinical follow-up no clinical improvement occurs within 48-72 hours of initiating treatment, providers should consider removing the IUD.PID treatment regimens must provide empiric, broad spectrum antibiotic coverage of likely pathogens